Which of the following hallucinations is pathognomonic of schizophrenia
1. Auditory hallucinations commanding the patient
2. Auditory hallucinations giving running commentary
3. Auditory hallucinations criticizing the patient
4. Auditory hallucinations talking to patient

Correct answer: 2. Auditory hallucinations giving running commentary

Explanation: Hallucinations are common in schizophrenia. Auditory hallucinations are by far the most frequent, these can be an elementary auditory hallucination (hearing simple words rather than voices), Thought echo, Third person hallucination, Voice commenting on ones on the action. Only the third person hallucinations are believed to be characteristic of schizophrenia (Ref: a short textbook of psychiatry, Niraj Ahuja, 7th edition, page no.56)